Train of four is characteristically used in concern with-
1. Malignant hyperthermia
2. Non -depolarizing neuromuscular blockers
3. Mechanical ventilation
4. To check hemodynamic parameters

Correct answer: 2. Non -depolarizing neuromuscular blockers

Explanation: Train of four is used for monitoring neuromuscular block during anaesthesia. Fade on TO4 is the characteristic feature of non-depolarising neuromuscular blockage.